A patient presents with hypothenar muscle wasting and loss of sensation of medial one and a half digits. Which nerve is involved?
1. Ulnar nerve
2. Median nerve
3. Radial nerve
4. Musculocutaneous nerve

Correct answer: 1. Ulnar nerve

Explanation: Ans. A Ulnar nerve# The shown course of nerve is of ulnar nerve# Please refer the image below